Vitamin K is given to every child at the age of :-
1. At birth
2. At 9 months age
3. At 5-6 years age
4. Not required in Indian babies

Correct answer: 1. At birth

Explanation: Vitamin K: The role of Vitamin K is to stimulate the production and/or the release of certain coagulation factors. In Vitamin K deficiency, prothrombin content of blood is markedly decreased & blood clotting time is considerably prolonged. Newborn infants tend to be deficient in vitamin K due to minimal stores of prothrombin at birth & lack of an established intestinal flora. Thus, soon after birth, all infants or those at increased risk should receive a single intramuscular dose of a Vitamin K preparation (0.1- 0.2 mg of menadione sodium bisulphite or 0.5 mg of vitamin K1) by way of prophylaxis.